True statement regarding insulin
1. Circulated in blood by binding with RBC
2. Made of 2 chains with 3 disulphide bonds
3. Synthesized by alpha cells of islet of langerhans
4. Elimination half life is 60 min. after subcutaneous injection

Correct answer: 2. Made of 2 chains with 3 disulphide bonds

Explanation: Insulin is the major fuel-regulating hormone of the body, a double-chain protein formed from proinsulin in the beta cells of the islets of Langerhans in the pancreas. Insulin promotes the storage of glucose and the uptake of amino acids, increases protein and lipid synthesis, and inhibits lipolysis and gluconeogenesis. Secretion of insulin is a response of the beta cells to a stimulus; the primary stimulus is glucose, and others are amino acids and hormones such as secretin, pancreozymin, and gastrin. These chemicals play an important role in maintaining normal blood glucose levels by triggering insulin release after a meal. Ref: Ganong's review of medical physiology;24th edition; page no-432